Illuminated frenzel glasses are used in detecting?
1. Nystagmus
2. Heterophoria
3. Esotropia
4. Astigmatism

Correct answer: 1. Nystagmus

Explanation: Ans. is 'a' i.e., Nystagmus Illuminated frenzel galsses (+20 lenses) are useful for abolishing fixation and thus revealing peripheral vestibular nystagmus.